Drug locally used for tracheal stenosis is :
1. Mitomycin C
2. Doxorubicin
3. Bleomycin
4. Clindamycin

Correct answer: 1. Mitomycin C